A patient presents with subcutaneou nodules over Rt. iliac crest. Lymph node as well as skin smear shows microfilariae. Patient also has eye manifestatons .Most common filarial species involved -
1. Brugis timori
2. Onchocerca volvulus
3. Loa Loa
4. Mansonelle ozaradi

Correct answer: 2. Onchocerca volvulus